Treatment of choice for T2 carcinoma of nasopharynx is -
1. Surgery
2. Radiotherapy
3. Chemotherapy
4. Surgery + postoperative radiotherapy

Correct answer: 2. Radiotherapy

Explanation: Irradiation is treatment of choice (external radiotherapy).